Selective proteinuria is typically seen in:
1. Nil lesion
2. Diabetic nephropathy
3. FSGS
4. Mesangioproliferative glomerulonephritis

Correct answer: 1. Nil lesion

Explanation: Sustained proteinuria >1-2 g/24 h is associated with glomerular disease. functional or transient proteinuria causes <1-2 g/24h urine protein loss. Proteinuria seen with upright posture is called orthostatic proteinuria. Isolated proteinuria is seen in diabetic nephropathy, nil lesion, mesangioproliferative glomerulonephritis, and FSGS. Proteinuria in these conditions is mostly nonselective, containing albumin and a mixture of other serum proteins. In children with nil lesion from minimal change disease, the proteinuria is selective and largely of albumin Ref: Harrison-18, P-2336.